All of the following structures forms the boundary of the Hesselbach's triangle, EXCEPT:
1. Rectus muscle
2. Inguinal ligament
3. Inferior epigastric vessel
4. Deep circumflex iliac vessel

Correct answer: 4. Deep circumflex iliac vessel

Explanation: Hesselbach's triangle is a region in the anterior abdominal wall. It is bounded inferiorly by the inguinal ligament, medially by the lateral border of the rectus muscles, and laterally by the inferior epigastric vessels. Base of the triangle is formed by pubic pecten and pectineal ligament. Ref: Hoffman B.L., Schorge J.O., Schaffer J.I., Halvorson L.M., Bradshaw K.D., Cunningham F.G., Calver L.E. (2012). Chapter 38. Anatomy. In B.L. Hoffman, J.O. Schorge, J.I. Schaffer, L.M. Halvorson, K.D. Bradshaw, F.G. Cunningham, L.E. Calver (Eds), Williams Gynecology, 2e